Which of the following enzymes is used in Recombinant DNA research for Homopolymer tailing?
1. Reverse transcriptase
2. S1 Transferase
3. Polynucleotide kinase
4. Terminal transferase.

Correct answer: 4. Terminal transferase.

Explanation: Ans. D. Terminal transferaseSome of the Enzymes Used in Recombinant DNA ResearchEnzymeReactionPrimary UseAlkaline phosphataseDephosphorylates 5' ends of RNA and DNARemoval of 5'-PO4 groups prior to kinase labeling; also used to prevent self-ligationBAL 31 nucleaseDegrades both the 3' and 5' ends of DNAProgressive shortening of DNA moleculesDNA ligaseCatalyses bonds between DNA moleculesJoining of DNA moleculesDNA polymerase ISynthesizes double-stranded DNA from single- stranded DNASynthesis of double-stranded cDNA; nick translation; generation of blunt ends from sticky endsDNase IUnder appropriate conditions, produces single- stranded nicks in DNANick translation; mapping of hypersensitive sites; mapping protein-DNA interactionsExonuclease IIIRemoves nucleotides from 3' ends of DNADNA sequencing; mapping of DNA-protein interactionsExonucleaseRemoves nucleotides from 5' ends of DNADNA sequencingPolynucleotide kinaseTransfers terminal phosphate (position) from ATP to 5'-OH groups of DNA or RNA32P end-labeling of DNA or RNAReverse transcriptaseSynthesizes DNA from RNA templateSynthesis of cDNA from mRNA; RNA (5' end) mapping studiesS1 nucleaseDegrades single-stranded DNARemoval of "hairpin" in synthesis of cDNA; RNA mapping studies (both 5' and 3' ends)Terminal transferaseAdds nucleotides to the 3' ends of DNAHomopolymer tailing